Flushing occurs following alcohol ingestion in patients taking:
1. Metronidazole
2. Penicillin
3. Tetracycline
4. Chloramphenicol

Correct answer: 1. Metronidazole

Explanation: aRef: KDT, 5,h ed, p. 351 -354 & 4lh ed. p. 364, 361